In the early pregnancy, the doubling time of HCG concentrations in plasma is :
1. 12 hours
2. 48 hours
3. 72 hours
4. 96 hours

Correct answer: 2. 48 hours

Explanation: 48 hours